Best method to diagnose Bronchiectasis is –
1. X–ray
2. Bronchography
3. M.R.I.
4. HRCT

Correct answer: 4. HRCT

Explanation: Investigation of choice for Bronchiectasis is HRCT.